A 59 year old man with severe myxomatous mitral regurgitation is asymptomatic, with a left ventricular ejection fraction of 45% and an end systolic diameter index of 2.9 cm/m2. The most appropriate t/t is
1. Mitral valve repair or replacement
2. No treatment
3. ACE inhibitor therapy
4. Digoxin and diuretic therapy

Correct answer: 1. Mitral valve repair or replacement